Which of the following is an Interstitial type of a hernia
1. Richter's hernia
2. Spigelian hernia
3. Femoral hernia
4. Epigastric hernia

Correct answer: 2. Spigelian hernia

Explanation: An interstitial hernia occurs when a hernia extends between the layers of muscle and not directly through themThis is typical of a Spigelian hernia.